Type of necrosis seen in case of burn:
1. Liquefactive necrosis.
2. Coagulative necrosis.
3. Both.
4. Caseous necrosis.

Correct answer: 2. Coagulative necrosis.